Example of anaerobic medium
1. WIlson Blair medium
2. Mac conkey broth
3. Robertson's cooked meat medium
4. EMB agar

Correct answer: 3. Robertson's cooked meat medium

Explanation: Non-selective media used in anaerobic bacteriology: Cooked meat broth (e.g. Robertson's Cooked Meat Medium): Non-selective for the cultivation of anaerobic organisms; with an addition of glucose, can be used for gas-liquid chromatography. Anaerobic blood agar: It is a non-selective medium for isolation of anaerobes and facultative anaerobes. Egg-yolk agar (EYA): Non-selective for determination of lecithinase and lipase production by Clostridia and Fusobacteria. Peptone-yeast extract glucose broth (PYG): Non-selective for the cultivation of anaerobic bacteria for gas-liquid chromatography. Ref: Ananthanarayana textbook of Microbiology 9th edition Pgno : 46,47